Filum terminate extend up to
1. S5
2. L5
3. Coccyx
4. L4

Correct answer: 3. Coccyx

Explanation: (C) Coccyx # Level of Spinal Cord:> Spinal cord extends from C1 to L1 (lower border) in adults> Spinal cord extends from C1 to L3 (upper border) in infants.> Filum terminate extends from lower end of spinal cord (L1 or L3) to the tip of coccyx.> Piamater extends up to tip coccyx> Dural sheath extends up to S2 vertebra.> Subdural space extends up to S2> Subarachnoid space extends up to S2